Wilson disease, all are true except ______
1. Hepatomegaly
2. KF ring
3. Raised copper level
4. Raised ceruloplasmin level

Correct answer: 4. Raised ceruloplasmin level

Explanation: Low levels of ceruloplasmin are characteristic.This is probably secondary to hepatic damage. As most of the copper in serum is bound to ceruloplasmin, total serum copper level is reduced.The serum ceruloplasmin level is less than 20mg/dl and serum copper concentration is below 20 micrograms/dl. Ref: Page 618; Ghai essential pediatrics; 6th edition.